Can be associated with anovulation, obesity, and amenorrheaFor the above explanations for hirsutism, select the most likely cause.
1. drugs
2. polycystic ovarian disease (PCOD)
3. adrenal hyperplasia
4. idiopathic hirsutism

Correct answer: 2. polycystic ovarian disease (PCOD)

Explanation: The most severe form of PCOD, Stein-Leventhal syndrome, is associated with chronic anovulation, hirsutism, enlarged cystic ovaries, obesity, and amenorrhea. The spectrum of disease, however, is quite wide, and some patients have only mild hirsutism.